Most common and earliest manifestation of carcinoma glottis is:
1. Hoarseness
2. Hemoptysis
3. Cervial lymph nodes
4. Stridor

Correct answer: 1. Hoarseness